Symptoms of BPH is graded by
1. Gleason score
2. IPSS score
3. SBPH core
4. None of the above

Correct answer: 2. IPSS score

Explanation: IPSS score divides symptoms into: 

Mild- 0-7
Moderate - 8-19
Severe - 20 -35.